Memory cells are:
1. Basophils
2. Eosinophils
3. Lymphocytes
4. Neutrophils

Correct answer: 3. Lymphocytes

Explanation: Ans. C i.e. Lymphocytes